The treatment of metastatic testicular carcinoma is
1. Bleomycin, Etoposide, Cisplatin
2. Vinblastine, Etoposide, Cisplatin
3. Doxorubicin, 5FU, Mercaptopurine
4. Methotrexate, 5FU, Vincristine

Correct answer: 1. Bleomycin, Etoposide, Cisplatin

Explanation: Standard chemotherapy for Germ Cell tumour is BEP regimen B- Bleomycin (30units) Day 2, 9, 16 E- Etoposide (100mg/m2) Day 15 P- Cisplatin (20mg/m2) Day 15 ref - Harrisons internal medicine 20e pg635-36,633